The highest quantity of lipid and lowest concentration of protein are found in
1. Chylomicrons
2. Very low density lipoproteins
3. Low density lipoproteins
4. High density lipoproteins

Correct answer: 1. Chylomicrons